The subtype of Hodgkin's disease, which is histogentically distinct from all the other subtypes is -
1. Lymphocyte predominant
2. Nodular sclerosis
3. Mixed cellularhy
4. Lymphocyte depleted

Correct answer: 1. Lymphocyte predominant

Explanation: The lympocytic predominance type of HD is characterised by proliferation of small lympocytes admixed with a varying number of histiocytes.Polypoid ( or popcorn )Reed Sternberg cells are seen in thus type of HD with lobulated nucleus in the shape of popcorn.

Reference :Harsh Mohan textbook of pathology 6th edition pg no 371